Popcorn calcification is seen in
1. Adamantinoma
2. Osteosarcoma
3. Multiple myeloma
4. Chondrosarcoma

Correct answer: 4. Chondrosarcoma